Jamais vu is -
1. Illusion that what one is hearing, one has heard previously
2. A unfamiliar thought regarded as repetition of a previous thought
3. Unfamiliar situations or events feel strangely familiar
4. Feeling of strangeness to familiar situation

Correct answer: 4. Feeling of strangeness to familiar situation

Explanation: Ans. D. Feeling of strangeness to familiar situationfamais vu :- A feeling of strangeness to familiar situations or events.